True regarding benign mixed parotid tumor is:-
1. Slow growing and lobular
2. Firm and capsulated
3. 50% of parotid tumor
4. All of the above

Correct answer: 4. All of the above

Explanation: Benign mixed parotid tumor (pleomorphic adenoma) is slow growing and lobular, firm and capsulated and accounts for approximately 50% of parotid tumor. PLEOMORPHIC ADENOMA It is MC benign salivary gland tumor and MC tumor of major salivary glandsQ. MC site is parotid tail (superficial lobe)Q Known as mixed tumor as it is composed of both epithelial & mesenchymal components Encapsulated but sends pseudopodia (finger-like projections) into surrounding glands, enucleation is not done to avoid recurrence. Pleomorphic adenoma is unicentric but recurrences are multicentricQ Usually does not involve the facial nerve. FNAC is diagnosticQ TREATMENT is Superficial parotidectomy (Patey's operation)Q